Minimum urine osmolality that can be human kidney
1. 100 mOsm/L
2. 80 mOsm/L
3. 50 mOsm/L
4. 20 mOsm/L

Correct answer: 3. 50 mOsm/L

Explanation: Minimum urine osmolality that can be human kidney is 50mOsm/L Ref: Guyton textbook of medical physiology; 12th edition; page no: 345